A patient of CSOM with cholesteatoma present with acute onset of vertigo. Treatment is:
1. Immediate exploration
2. Antibiotics + steroids
3. Labyrinthine sedatives + antibiotics
4. Labyrinthine sedatives only

Correct answer: 1. Immediate exploration

Explanation: Ans. A CSOM with cholesteatoma is the most common cause of labyrinthus, presents with transient vertigo often induced by pressure on tragus, cleaning the ear or while performing val salva monoeuure * Cortical mastoidectomy (in acute mastoiditis) or modified radical mastoidectomy (in chronic middle ear infection or cholesteatoma) will often be required to treat source of infection